Sublingual nitroglycerin for treatment of acutechest pain can cause ?
1. Hypertension
2. Headache
3. Bradycardia
4. Sexual dysfunction

Correct answer: 2. Headache

Explanation: Ans. is 'b' i.e., Headache Due to vasodilatation there may be tachycardia, palpitation, flushing, headache, dizziness and fainting may occur. Adverse effects Due to vasodilatation tachycardia, palpitation, flushing, headache, dizziness and fainting may occur. Rashes are common particularly with pentaerythritol tetranitrate. Methemoglobinemia. Sildenafil causes dangerous potentiation of nitrate action (cGMP is increased by nitrates and its breakdown by phosphodiesterase is inhibited by sildenafil - marked accumulation of cGMP) - severe hypotension, MI and death may occur the only contraindications of nitrates use are hypotension or simultaneous use of sildenofil.